Left lobe is responsible for
1. Appreciation of Music
2. Spatial orientation
3. Visual Stimuli Processing
4. Written and Spoken Language

Correct answer: 4. Written and Spoken Language

Explanation: D i.e. Written and Spoken Language